The direction of the nasolacrimal duct is -
1. Downwards, backwards and medially
2. Downwards, backwards and laterally
3. Downwards, forwards and medially
4. Downwards, forwards and laterally

Correct answer: 2. Downwards, backwards and laterally

Explanation: Nasolacrimal duct: It is a membranous passage which begins at the lower end of the lacrimal sac. It runs downwards, backwards and laterally and opens in the inferior meatus of the nose.